Patient is known to have increased intracranial tension. Which of the following agents are safe to use in this patient?
1. Ketamine
2. Thiopentone
3. Halothane
4. Ether

Correct answer: 2. Thiopentone

Explanation: Thiopentone is cerebroprotective because it reduces cerebral oxygen consumption, cerebral metabolic rate and intracranial pressure. Similar agent is propofol. Ref: Ajay Yadav, 3rd Edition, Page 68